Association of PSC with all except
1. Ulcerative colitis
2. Idiopathic thrombocytopenia purpura
3. Sarcoidosis
4. Retro peritoneal fibrosis

Correct answer: 2. Idiopathic thrombocytopenia purpura

Explanation: Disease association with PSC Chronic ulcerative colitis Crohn's disease Autoimmune hepatitis Chronic pancreatitis Hypereosinophilia Riedel's thyroiditis Celiac disease Auto immune hemolytic anemia Sicca syndrome Sarcoidosis Glomerulonephritis Retro peritoneal fibrosis Systemic sclerosis Smoking is protective in : PSC & UC PSC and cholangiocarcinoma is more common in males PVC is more common in females Colectomy has no effect in the course of PSC Ref : Sabiston 20th edition Pgno : 1508-1509